Which of the following is true about pleomorphic adenoma except -
1. Most common tumor of salivary glands
2. Has a tendency to invade perineural space
3. Most commonly involves the parotid gland
4. It is also called a mixed tumor

Correct answer: 2. Has a tendency to invade perineural space

Explanation: Ans. is 'b' i.e., Has a tendency to invade perineural space Pleomorphic adenomao This is the Commonest neoplasm of Salivary glands.o The most Common salivary gland involved is Parotid - represent about 60% tumors in the parotid,o Submandibular and minor salivary glands may also be involved rarely,o Pleomorphic adenoma -->> Parotid > Submandibular > minor salivary glands.o They are derived from a mixture of ductal (epithelial ) and myoepithelial cells and therefore they show both epithelial and mesenchymal differentiation - Also called a mixed tumor.